In a seriously ill patient, addition of amino acids indiet results in a positive nitrogen balance. The mechanism for this is :
1. Increased Growth hormones secretion
2. Enhanced rate of gluconegenesis
3. Increased absorption of amino acids from diet
4. Increased secretion of Insulin.

Correct answer: 4. Increased secretion of Insulin.

Explanation: Increased secretion of insulin Amino acid diet (particularly arginine & lysine) stimulate insulin release which has anabolic effect on metabolism. It decreases protein catabolism .for energy and increases amino-acid uptake & protein synthesis.